Investigation of choice for diagnosis and staging of renal cell carcinoma
1. USG
2. CECT
3. IVP
4. MRI

Correct answer: 2. CECT

Explanation: IOC - CECT.
IOC if renal vein or IVC involved  - MRI.